Risk of HIV transmission is not seen with ?
1. Whole blood
2. Platelets
3. Plasma derived hepatitis B vaccine
4. Leucocytes vaccines

Correct answer: 3. Plasma derived hepatitis B vaccine

Explanation: Ans. is 'c' i.e., Plasma derived hepatitis B vaccine